Stryker's view is used in shoulder joint to visualise:
1. Muscle calcification
2. Recurrent subluxation
3. Subacromial calcification
4. Bicipital groove

Correct answer: 2. Recurrent subluxation

Explanation: Ans. Recurrent subluxation